On microscopic examination, eggs are seen, but on saturation with a salt solution, no eggs are seen. The eggs are likely to be of -
1. Trichuris trichiura
2. Taenia solium
3. Ascaris lumbricoides
4. Ancylostoma duodenale

Correct answer: 2. Taenia solium